1 gm hemoglobin binds with:
1. 1.22 ml 02
2. 1.33 ml 02
3. 1.44 ml 02
4. 1.55 ml 02

Correct answer: 2. 1.33 ml 02

Explanation: Ans. B: 1.33 ml 02When fully saturated, each gram of normal hemoglobin contains 1.39 mL of oxygen.But blood normally contains small amount of inactive hemoglobin derivatives, and hence the measured value becomes 1.34 mL of oxygen.